BCR-ABL1gene fusion is seen in all of the following except
1. Acute myeloid leukemia
2. Chronic myeloid leukemia
3. Acute lymphoblastic leukemia
4. Chronic lymphocytic leukemia

Correct answer: 4. Chronic lymphocytic leukemia

Explanation: Translocation between chromosome 9 and chromosome 22 leading to fusion of BCR gene with ABL1 gene is seen characteristically in chronic myeloid leukemia. However, this genetic signature is also seen in ALL where it portends a bad prognosis and in AML as per recent WHO update.